Heparin therapy should be monitored with intermittent estimation of-
1. Bleeding time
2. Prothrombin time
3. PTTK
4. All of the above

Correct answer: 3. PTTK

Explanation: Ans. is 'c' i.e., PTTK o Monitoring of unfractionated heparin --> aPTT o Monitoring of oral anticoagulants-* PT/INR o Monitoring of LMW heparins --> No monitoring required